Limpet-like cone-shaped lesions in psoriasis refers to:
1. Rupioid psoriasis
2. Elephantine psoriasis
3. Ostraceous psoriasis
4. Inverse psoriasis

Correct answer: 1. Rupioid psoriasis

Explanation: Rupioid psoriasis refers to limpet-like cone-shaped lesions. The term elephantine psoriasis is used to describe persistent, thickly scaling, large plaques. Ostraceous psoriasis refers to a ring-like hyperkeratotic lesion with a concave surface, resembling an oyster shell. Ref: Rook's textbook of dermatology, 8th edition, Pg 20.12